Which of the auscultatory sign is absent in mitral stenosis in the presence of atrial fibrillation?
1. Mid diastolic murmur
2. Presystolic accentuation
3. Variable first heart sound
4. Loud P2

Correct answer: 2. Presystolic accentuation

Explanation: The presystolic accentuation of the mid-diastolic murmur of atrial fibrillation is due to atrial contraction against a closed mitral valve. With the onset of atrial fibrillation, since atrial will be twitching, pre-systolic accentuation will disappear. Other changes in findings of mitral stenosis with an onset of atrial fibrillation are: The first heart sound becomes variable in intensity as heart rhythm is irregularly irregular Opening snap continues to occur as long as the valves are pliable and non-calcified. Length of the diastolic murmur varies.